Corticospinal fibers pass through which part of internal capsule?
1. Posterior one - third of anterior limb
2. Anterior two - third of posterior limb
3. Posterior two - third of anterior limb
4. Anterior two - third of anterior limb

Correct answer: 2. Anterior two - third of posterior limb

Explanation: Corticospinal fibers pass through the anterior two - third of the posterior limb of internal capsule. Posterior 1/3rd of posterior limb carries sensory fibers (including audio - visual pathways). Ref: Gray's39e/p-518